Which of the following is the usual presenting symptom of pseudocyst in pancreatitis?
1. Abdominal swelling
2. Abdominal pain
3. Persistent vomiting
4. Early satiety and postprandial fullness

Correct answer: 2. Abdominal pain

Explanation: Pseudocysts are caused by pancreatitis in 90% of cases and by trauma in 10%. Approximately 85% are located in the body or tail of the pancreas. Some patients have two or more pseudocysts. Abdominal pain is the usual presenting complaint. Reference: Harrisons Principles of Internal Medicine, 18th Edition, Page 2642